Droperidol is used as
1. Antiphychotic
2. Antiemitic
3. Neurolept analgesia
4. All of the above

Correct answer: 4. All of the above

Explanation: Ans. is'd'i.e., All of the aboveDroperidol is D2 antagonist which is used as : -Typical antipsychotic (neuroleptic)AntiemeticNeuroleptanalgesia (along with fentanyl)